Lactated Ringer's solution (Hartmann's solution) contains 
all of the following electrolytes (in approximately the
same proportion as human extracellular fluid) EXCEPT
1. Bicarbonate
2. Chloride
3. Potassium
4. Sodium

Correct answer: 1. Bicarbonate